True about medial lemniscus -
1. Carries pain and temperature sensations
2. Continuation of dorsal column
3. Crosses to opposite side in spinal cord
4. All of the above

Correct answer: 2. Continuation of dorsal column

Explanation: Ans. is 'b' i.e., Continuation of dorsal columno The dorsal column system conveys the modalities of proprioception, fine touch (two pointdiscrimination, topognosis, stereognosis, graphasthesia), vibration, Position of joint & Kinesthesia. Proprioception is carried to spinal cord by A-a sensory neuron while other sensations (fine touch, kinesthesia) are carried by Ab (Type II) sensory neuron.o In the spinal cord, these fibers ascend as fasciculus gracilis (fibers from lower part of body) and fasciculus cuneatus (fibers from upper part of body). Together, two fasciculi are called the Dorsal column of spinal cord, and they terminate respectively on the nucleus gracilis and the nucleus cuneatus in the medulla (Dorsal column nuclei).o The secondary sensory neurons originating from dorsal column nuclei of medulla cross over to opposite as internalarcute fibers and continue as the medial leminscus towards the thalamus (ventroposterior nucleus of thalamus). The thalamic neurons project to the sensory cortex.